A patient presented with claw hand after a fracture around elbow was reduced and plaster applied probable diagnosis is
1. Rupture of tendon of finger
2. Volkman's ischemic contracture
3. Carpal tunnel syndrome
4. Nerve injury

Correct answer: 2. Volkman's ischemic contracture